Which one of the following statements regarding water re-absorption in the tubules is True?
1. The bulk of water re-absorption occurs secondary to Na+ re-absorption
2. Majority of facultative re-absorption occurs in proximal tubule
3. Obligatory re-absorption is ADH dependent
4. 20% of water is always re-absorbed irrespective of water balance

Correct answer: 1. The bulk of water re-absorption occurs secondary to Na+ re-absorption

Explanation: Changes in sodium re-absorption significantly influence the re-absorption of water. Ref: Textbook of Medical Physiology By Guyton, 10th Edition, Page 299